In anxious parent calls you that her 4-month-old child has still no teeth in his mouth then you should:
1. Call and do radiographic survey
2. Tell her that it is normal at this age
3. Child has retarded growth
4. Systemic problem

Correct answer: 2. Tell her that it is normal at this age